All of the following are associated with Coombs-positive hemolytic anemia except -
1. Thrombotic thrombocytopenic purpura (TTP)
2. Scleroderma
3. SLE
4. PAN

Correct answer: 1. Thrombotic thrombocytopenic purpura (TTP)

Explanation: Collagen vascular diseases associated with autoimmune hemolytic anemia (warm antibody type → Coomb's positive)

Common → SLE
Rare → Rheumatoid arthritis, PAN, scleroderma, sjogren's syndrome